Corneal Vasucularisation is a characteristic manifestation of which vitamin deficiency
1. Thiamine
2. Pantothenic acid
3. Riboflavin
4. Niacin

Correct answer: 3. Riboflavin

Explanation: Chielosis and corneal vascularisation are characteristic manifestation of vitamin B2 (Riboflavin) deficiency.